Physiological changes during severe exercises are all except
1. Hyperventilation in the beginning
2. Hyperkalemia
3. Decreased part O2
4. Decreased part CO2

Correct answer: 3. Decreased part O2